Insulin secretion is decreased by ?
1. Glucogen
2. Gastrin
3. Secretin
4. Somatostatin

Correct answer: 4. Somatostatin

Explanation: Ans. is 'd' i.e., Somatostatin